Most common indication for liver transplant in children is ?
1. Viral hepatitis with fulminant hepatic failure
2. Biliary atresia
3. Metabolic disease
4. Hepatic tumor

Correct answer: 2. Biliary atresia

Explanation: Ans. is 'b' i.e., Biliary atresia Pediatric liver transplantation Biliary atresia is commonest indication for liver transplantation in pediatric age group. Other causes are : - Li Progressive primary liver disease Stable liver disease with significant morbidity Metabolic liver disease Fulminant hepatic failure